A person was on chemotherapy for 2 week for some mediastinal tumour. Now he develops high frequency hearing loss. Most probable cause of this condition is use of:
1. Cispiatin
2. Etoposite
3. Doxorubicin
4. Methotrexate

Correct answer: 1. Cispiatin

Explanation: Ans: A (Cisplatin) OTOTOXIC DRUGS P.LDhingra 6th/33-34Various drugs & chemical can damage the in ner ear & cause sensorineural hearing loss, tinnitus & sometimes vertigoCytotoxic drugs causing hearing loss are- nitrogen mustardfmechlorethamine), cisplatin & carboplatin"Cisplatin: Important toxicities are- renal impairment & emetogenic potential.Tinnitus, deafness, sensory neuropathy & byperuricaemia are other problem"- K.D.T 7th/861'Carboplatin: Nephrotoxicity, ototoxicity & neurotoxicity are low as compared to cisplatin"- K.D.T 7th/861Table Dhingra Ototoxic drugsA. Aminoglycoside antibiotisE. AnalgesicsStreptomycinDihydrostreptomvcinGentamicinTobramycinNeomycinKanamycinAmikacinNetilmycinSisomycinSalicylatesIndomethacinPhenylbutazoneIbuprofenF. ChemicalsAlcoholTobaccoMarijuanaCarbon monoxidePoisoningB. DiureticsFurosemideEthacrynic acidBumetanideG. MiscellaneousErythromycinAmpicillinPropranololPropylthiouracilDeferoxamineC. AntimalarialsQuinineChlonoquineHydroxychloroquineD, Cytotoxic drugsNitrogen mustard (Mechlorethamine)CisplatinCarboplatin